One molecule of Hb can bind to a maximum number of
1. Two molecules of oxygen
2. One molecule of oxygen
3. Four molecules of oxygen
4. Six molecules of oxygen

Correct answer: 3. Four molecules of oxygen

Explanation: Hemoglobins bind four molecules of O2 per tetramer, one per heme. A molecule of O2 binds to a hemoglobin tetramer more readily if other O2 molecules are already bound.Reference: Harper's Biochemistry; 30th edition; Chapter 6; Proteins: Myoglobin & Hemoglobin